A mid tracheostomy is done over
1. 1st and 2nd tracheal ring
2. 2nd and 3rd tracheal ring
3. 3rd and 4th tracheal ring
4. 5th and 6th tracheal ring

Correct answer: 2. 2nd and 3rd tracheal ring

Explanation: a mid tracheostomy is done at 2nd and 3rd tracheal rings behind the isthumus,it is the operation of choice .